Which of the following could be a component of conversion disorder?
1. Pseudoseizures
2. Derealisation
3. Depersonalisation
4. Amnesia

Correct answer: 1. Pseudoseizures

Explanation: Pseudoseizure can occur in conversion disorder. Paralysis, blindness and mutism are the most common conversion disorder symptoms. Anaesthesia and paresthesia especially of the extremities are the most common sensory symptoms. Other sensory symptoms includes deafness, blindness and tunnel vision. Motor symptoms associated with it are: abnormal movements, gait disturbance, weakness and paralysis. One gait disturbance seen in this is ataxia abasia, which is a wildly ataxic, staggering gait accompanied by gross, irregular, jerky truncal movements and thrashing and waving arm movements. Ref: Kaplan and Sadock's Concise Textbook of Clinical Psychiatry, 3rd Edition By Benjamin J. Sadock, Page 279